Auspitz sign is characteristically seen in –
1. Plaque Psoriasis
2. Pustular Psoriasis
3. Lichen planus
4. Inverse Psoriasis

Correct answer: 1. Plaque Psoriasis

Explanation: Auspitz's sign is used as bed-side test for diagnosis of psoriasis vulgaris/plaque psoriasis (most common type of psoriasis).